Organisms involved in smooth surface caries:
1. Streptococcus mutans.
2. Lactobacillus.
3. Actinomyces.
4. All of the above.

Correct answer: 1. Streptococcus mutans.